Heart failure cells are stained by?
1. Alcian blue
2. Silver stains
3. Prussian blue
4. PAS

Correct answer: 3. Prussian blue

Explanation: Heart failure cells: Hemosiderin-laden macrophages Found in lung affected by CVC lung and not in the heart. Hemosiderin pigment in these cells stains blue with Prussian blue stain (Perl's stain).